A 42-year-old engineer developed redness of the glans and radial fissuring of the prepuce 2 weeks ago. A Potassium hydroxide preparation of scrapings from the glans showed pseudohyphae and buds. Which one of the following systemic illness should he be screened for -
1. Pulmonary tuberculosis
2. Diabetes mellitus
3. Systemic Candidiasis
4. Chronic renal failure

Correct answer: 2. Diabetes mellitus